Calcitonin is a marker of -
1. Prostate cancer
2. Medullary carcinoma of thyroid
3. Pheochromocytoma
4. Pancreatic cancer

Correct answer: 2. Medullary carcinoma of thyroid

Explanation: Harshmohan textbook of pathology 7th edition. medulla carcinoma is a less frequent type derived from para follicular or C cells present in the thyroid. Like normal C cells tumor cells of medullary carcinoma secrete calcitonin the hypo calcimic hormone. So calcitonin is an important tumor marker of medullary carcinoma of thyroid. .